Rotting fish urine odour is seen in?
1. Hawkinsuria
2. Phenylketonuria
3. MSUD
4. Trimethylaminuria

Correct answer: 4. Trimethylaminuria

Explanation: Maple syrup urine disease Maple syrup/Burnt sugar Hypermethioninemia Boiled cabbage Multiple carboxylase deficiency Tomcat urine Oasthouse urine disease Hopslike Phenylketonuria Mousy or musty Trimethyl aminuria Rotting fish Tyrosinemia Boiled cabbage, rancid butter